Korsakoff's psychosis is seen in
1. Acute alcoholism
2. Carbon monoxide poisoning
3. Chronic alcoholism
4. Multiple sclerosis

Correct answer: 3. Chronic alcoholism

Explanation: (C) Chronic alcoholism# Conditions resulting in the vitamin deficiency and its effects include chronic alcoholism and severe malnutrition.> Alcoholism may be an indicator of poor nutrition, which in addition to inflammation of the stomach lining, causes thiamine deficiency.> Other causes include dietary deficiencies, prolonged vomiting, eating disorders, or the effects of chemotherapy. It can also occur in pregnant women who have a form of extreme morning sickness known as hyperemesis gravid a rum. Mercury poisoning can also lead to Korsakoff's syndrome.> It has also been caused by centipede (mukade) bites in Japan.There is no specific treatment because the previous thiamine deficiency produces irreversible damage to the medial thalamic nuclei and mammillary bodies.> Mammillary body atrophy may be visible on high-resolution MRI.